Large unilateral hypopigmented lesion on right trunk and arm in female. Which of the following best explain the etiology for it?
1. Autoimmune hypothesis
2. Neurogenic hypothesis
3. Genetic factors
4. Self destruct theory of Lerner

Correct answer: 2. Neurogenic hypothesis

Explanation: Image shows large U/L hypopigmented lesion on right trunk and arm in young female: segmental vitiligo. Vitiligo Segmental Non segmental Unilateral along dermatome Localised Generalised Focal: few mucosal: mucosa -Vulgaris - MC, B/L symptoms - Acrofacial (including hand and face) - Universalis >90% Etio: Autoimmune condition - Antibody formed destroy melanocytes Neurogenic hypothesis - It is only valid for segmental type The image shown above in question is of Segmental vitiligo Self-destruct theory of Lerner - Given for vitiligo It states that the oxidative stress which is going on in body causes destruction of melanocytes. If question would be about Vitiligo or B/L type, answer would be Autoimmune hypothesis. If there is family history of Vitiligo , answer would be Genetic factors